Lubrication of joint by releasing of synovial fluid under increased load is known as:
1. Excess lubrication.
2. Weeping lubrication.
3. Boundary lubrication
4. None of the above

Correct answer: 2. Weeping lubrication.